Pyramidalis is supplied by -
1. Subcostal nerve
2. Ilioinguinal nerve
3. Iliohypogastric nerve
4. Genitofemoral nerve

Correct answer: 1. Subcostal nerve

Explanation: Nerve supply of Pyramidalis- T12- Subcostal nerve.